Which of the following is used as inhibitor in the composition of composite?
1. Para-toluidine
2. Butylated hydroxy toluene
3. Methyl ether
4. Tertiary amine

Correct answer: 2. Butylated hydroxy toluene

Explanation: Butylated hydroxy toluene inhibits polymerization during storage.